What will be the Bmi of a male whose weight is 89 kg and height is 182cm -
1. 26
2. 30
3. 33
4. 36

Correct answer: 1. 26

Explanation: Park's textbook of preventive and social medicine 23rd edition. *BMI : wt (kg)/ht (m) square. :89/1.89/1.89 =26.868